Which of the following teeth erupt earlier in the upper jaw-
1. Central incisor
2. Lateral Incisor
3. Canine
4. First molar

Correct answer: 2. Lateral Incisor

Explanation: Eruption usually occurs in lower jaw first except it is preceded by lateral incisors in upper jaw. ref : Dr. Narayana Reddys Synopsis of Forensic Medicine & Toxicology 27th edition pg. 35..